Most common mutation in Hereditary Spherocytosis is
1. Band 3
2. Ankyrin
3. Spectrin
4. Band 4.2

Correct answer: 2. Ankyrin

Explanation: Most common mutation in Hereditary Spherocytosis is Ankyrin > Band 3 > Spectrin and Band 2